A chronic alcoholic patient is brought to the emergency department by a family member. The person has not consumed alcohol since two days due to unavailability. The person complained of nausea, vomiting and dizziness. On the beginning of the third day, he developed seizures (GTCS). Which of the following would be best medications to manage the seizure of this patient?
1. Sodium valproate
2. Phenytoin
3. Diazepam
4. Carbamazepine

Correct answer: 3. Diazepam

Explanation: The drugs of choice for detoxification are usually benzodiazepines. Chlordiazepoxide (80-200 mg/day in divided doses) and diazepam (40-80 mg/day in divided doses) are the most frequently used benzodiazepines. The aim of detoxification is the symptomatic management of emergent withdrawal symptoms. Ref: A Short Textbook of Psychiatry, Niraj Ahuja, 7th Edition, pg. no. 40